Taste sensation of anterior two third of tongue is?
1. Facial nerve
2. Glossopharyngeal nerve
3. Lingual nerve
4. Vagus nerve

Correct answer: 1. Facial nerve

Explanation: Facial nerve General sensationTaste sensationAnterior 2/3rdLingual nerveChorda tympani (branch of facial)Posterior 1/3"Glossopharyngeal nerveGlossopharyngeal nervePosterior mostVagus nerveVagus nerve